Lesser curvature anterior seromyotomy is indicated in?
1. Gastric ulcer
2. Gastric CA
3. Duodenal blowout
4. Duodenal ulcer

Correct answer: 4. Duodenal ulcer

Explanation: Ans. is 'd' i.e., Duodenal ulcer